The representation hemisphere (cerebral) is better than the categorical hemisphere at?
1. Language functions
2. Recognition of objects by their form
3. Understanding of printed words
4. Mathematical calculation

Correct answer: 2. Recognition of objects by their form

Explanation: Ans. (b) Recognition of objects by their form(Ref: Ganong, 25th ed/p.291)Left hemisphere#Previously called Dominant hemisphere#New name - categorical hemisphere#Mainly concerned with language and speech#Also involved in mathematical and scientific skillsRight hemisphere#Previously called nondominant hemisphere#New name - Representational hemisphere#Mainly concerned with visuospatial relations#Also involved in Identification of objects form and music